In which of the following, Koebner phenomenon is NOT seen -
1. Lichen planus
2. psoriasis
3. lichen nitidus
4. Lichen simplex chronicus

Correct answer: 4. Lichen simplex chronicus

Explanation: koebners phenomenon is seen in lichen planus,psoriasis, lichen nitidus,vitiligo IADVL textbook of dermatology, page 107